According to Glasgow coma scale (GCS), a verbal scare of 1 indicates:
1. No response
2. Inappropriate words
3. Incomprehensible sounds
4. Disoriented response

Correct answer: 1. No response

Explanation: Ans. is 'a' i.e., No response